Which of the following tumors give rise to white reflex in pupil?
1. Squamous cell carcinoma
2. Neurofibroma
3. Retinoblastoma
4. Keratoacanthoma

Correct answer: 3. Retinoblastoma

Explanation: Retinoblastoma is a multicentric malignant tumour of the retina, which can be bilateral.
Some are sporadic, but many are hereditary.
Children with a family history should be carefully monitored from birth.
It is often not spotted until the tumour fills the globe and presents as a white reflex in the pupil or as a squint.